Dupuytren's contracture can be caused by ?
1. Eptoin
2. Alcoholism
3. Diabetes
4. All of the above

Correct answer: 4. All of the above

Explanation: Ans. is 'd' i.e., All of the above Dupuytren's contracture is characterized in the established phase by flexion contracture of one or more fingers from thickening and shortening of palmar aponeurosis. The exact etiology is unknow; However, the condition is more commonly associated with following conditions :- Epileptics taking phenytoin Diabetes Alcoholic cirrhosis AIDS Pulmonary TB Often both hands are affected (Bilateral disease), one more than the other. The earliest sign is a small thickened nodule in the mid-palm opposite the base of ring finger. Gradually this extends distally to involve the ring or little finger. There is a rare, curious association with fibrosis of the corpus Cavernosum.